Textile industry workers commonly affects with-
1. Baggassosis
2. Bysinosis
3. Pneumoconiosis
4. Farmers lung

Correct answer: 2. Bysinosis

Explanation: Ans. is 'b' i.e., Byssinosiso Farmer s lung is produced due to the fungus thermophilic actinomyces.Hypersensitivity PneumonitidesTextile workersEnvironmental sourceMajor causative antigeno Bvssinosis ("brown lune") unclear if a true cause of HP; asthma is common)o Cotton mill dust (carding and spinning areas of cotton, flax, and soft-hemp)o "Velvet" worker's lungo Unknown (? nylon velvet fiber, tannic acid, potato starch)o Upholstery fabric (nylon filament, cotton/polyester, and latex adhesiveo Aflatoxin-producing fungus, Fusarium sport Lycoperdonosis (lycoperdon puffballs)o Puffball sporesAssociated with farmingo Moldy hay, grain, silage (Farmer's lung)o Thermophilic actinomycetes, such as Faenirecti virgula (also known as Micropolyspora faeni or Saccharopolyspora rectivirgula)o Fungus, such as Aspergillus umbrosuso Mold on pressed sugar cane fbaeassosis. verv rare cases)o Thernioactinomvces sacchari. T. vulgariso Tobacco plants (tobacco grower's lung; "Blackfat" tobacco)o Aspergillus sport Scopulariopsis brevicauliso Mushroom worker's lungo Mushroom sporeso Thermophilic actinomyceteso Potato riddler's lung (moldy hay around potatoes)o Thermophilic actinomyceteso V. vulgariso F. rectivirgulao Aspergillus sport Paprika sheer's lung (moldy paprika pods)o Mucor stolonifero Wine maker's lung (mold on grapes)o Botrytis cincreao Cheese washer's lung (moldy cheese)o Penicillium casei o Aspergillus clavatuso Coffee worker's lungo Coffee-bean dusto Tea grower's lungo Tea plants